Incubation period of pertusis is:-
1. 7-14 days
2. 1-5 days
3. 25-30 days
4. 10-25 days

Correct answer: 1. 7-14 days

Explanation: Ans. is 'a' i.e. 7-14 days